Cystic fibrosis is inherited as?
1. AR
2. AD
3. XR
4. XD

Correct answer: 1. AR

Explanation: Ans. is 'a' i.e. AR * Cystic fibrosis is an autosomal recessive disorder of ion transport in epithelial cells that affect fluid secretion in exocrine glands and the epithelial lining of the respiratory, gastrointestinal and reproductive tracts.* Cystic fibrosis occurs due to mutation in the CFTR (Cystic fibrosis transmembrane regulator) gene on long arm of chromosome-7.